The treatment of choice for a mucocele of gallbladder is
1. Aspiration of mucous
2. Cholecystectomy
3. Cholecystostomy
4. Antibiotics and observation

Correct answer: 2. Cholecystectomy

Explanation: Mucocele(Hydrops) Mucocele results from Prolonged obstruction of the cystic duct, usually by a large solitary calculus Obstructed GB lumen is progressively distented by mucus (mucocele) or by clear transudate(hydrops) produced by mucosal epithelial cells Clinical features A visible, easily palpable, non tender gallbladder sometimes extending from the RUQ into the right iliac fossa may be found on physical examination The patient with hydrops of the gallbladder frequently remains asymptomatic, although chronic RUQ pain may also occur. Treatment Early cholecystectomy, because empyema, Perforation or gangrene may complicate the condition Ref: Bailey and love 27th edition Pgno :1199 Harrison's 19th edition Pg no :2081